Treatment of malignant neuroleptic syndrome include all except:
1. Chlorpromazine
2. Dantrolene
3. Peripheral cooling
4. Diazepam

Correct answer: 1. Chlorpromazine